Which of these is a branch of inferior mesenteric artery -
1. Left colic artery
2. Right colic artery
3. ileocolic artery
4. Middle colic artery

Correct answer: 1. Left colic artery